Endoscope tube is sterilized by-
1. Glutaraldehyde
2. Formalin
3. Autoclaving
4. Boiling

Correct answer: 1. Glutaraldehyde